Which of the following enzymes are found in CSF?
1. GGT+ALP
2. ALP+CK-MB
3. CK+LDH
4. Deaminase and Peroxidase

Correct answer: 3. CK+LDH

Explanation: CSF enzymes is categorised into the following groups: Glycolytic and mitochondrial enzymes Neurotransmitter related enzymes Lysosomal enzymes Lipid metabolizing enzymes Amino Acid and protein related enzymes LDH1 and LDH2 are found predominant in CSF. Lysozyme is an enzyme capable of degrading peptidoglycans is found in CSF. Another enzyme Creatinine kinase (CK), transfers high energy phosphate bonds to ATP for eventual release. A brain specific isoform (CK-BB) is distinct from the muscle subtype and CK-BB is the main isoform found in CSF. Ref: Cerebrospinal Fluid in Clinical Practice By David N. Irani, Page 74.